Most wear resistant composite is:
1. Traditional composite
2. Macrofilled composite
3. Hybrid composite
4. Packable composite

Correct answer: 3. Hybrid composite

Explanation: Hybrid composite resin materials have a combination of small and large filler particles, to combine high filler loading with a sufficient quantity of small particles to ensure improved wear resistance and also permit adequate polishability. These materials are quite strong, polishable, and have wear resistance equivalent to amalgam.
Sturdevant Operative Dentistry 7th edition page 471